Initial IOC for intussesception is:
1. X-ray
2. USG
3. Barium enema
4. CT scan

Correct answer: 2. USG

Explanation: Ans. B i.e. USG